Burning foot syndrome was described by -
1. Gopalan
2. Ramalingaswamy
3. Pauling
4. Limann

Correct answer: 1. Gopalan

Explanation: Pantothenic acid (vit B5):- Human blood normally contains 18-35 mg of pantothenic acid per 100 ml blood . Mostly present in cells as coenzyme A. The daily requirement: 10 mg Deficiency: Dr Gopalan ,a world renowned nutritionist from India, linked the burning feet syndrome with pantothenic acid deficiency. Manifested by pain, numbness in the toes, sleeplessness, fatigue etc. {Reference: Park's textbook of community medicine, 23 rd edition, pg no. 620}